Select the FALSE combination of chromosomal pattern and the syndrome:
1. Mayer Rokitansky-46XY
2. Swyer's syndrome-46XY
3. Turner's syndrome-45XO
4. Klinefelter's syndrome-47XXY

Correct answer: 1. Mayer Rokitansky-46XY

Explanation: a. Mayer Rokitansky-46XY(Ref: Nelson's 20/e p 2628-2631)Mayer-Rokitansky-Kuster-Hauser syndrome (also called' Mullerian Agenesis') is characterized by the failure of development of uterus and vagina, in women with normal ovarian function and normal external genitalia.